In one single visit, a 9 month old, unimmunized child can be given the following vaccination
1. Only BCG
2. BCG, DPT - 1, OPV - 1
3. DPT - 1, OPV - 1, Measles
4. BCG, DPT-1, OPV - 1, Measles

Correct answer: 4. BCG, DPT-1, OPV - 1, Measles

Explanation: BCG, DPT-1,OPV-1,Measles. Reference: Park's textbook of preventive and social medicine, K.Park,23rd edition, page no:123.